Which of the following does not possess both DNA & RNA -
1. Bacteria
2. Fungus
3. Virus
4. Spirochete

Correct answer: 3. Virus

Explanation: Viruses contain only one type of nucleic acid,either DNA or RNA,but never both REF:ANANTHANARAYANAN AND PANIKER'S TEXTBOOK OF MICROBIOLOGY 8TH EDITION PAGE NO:427